Superior pancreaticoduodenal artery is a branch of:
1. Splenic artery
2. Coeliac trunk
3. Gastroduodenal artery
4. Superior mesenteric arter

Correct answer: 3. Gastroduodenal artery

Explanation: Ans: c (Gastroduodenal artery) Ref: BDC, 4th ed, Vol. p. 263Superior pancreaticoduodenal artery is a branch of the Gastroduodenal artery, which is a branch of the Common Hepatic artery.* Coeliac trunk- arises at the J n. T12-L1 - Artery of foregut* Sup. mesentric artery - arises at L1 - Artery of midgut* Inf. mesentric artery - arises at L3 - Artery of hindgutRemember:* Rt. gastroepiploic artery is a branch of the gastroduodenal artery, while Lt. gastroepiploic is a branch of the splenic artery* Marginal artery of Sudeck is formed by ileocolic, Rt. colic, middle colic, Lt. colic and sigmoid arteries - Descending/ sigmoid colon (Sudeck point)* Appendicular artery - branch of lower division of ileocolic artery.